Mallika, 21 year old married female brought to ER with abdominal pain and slight vaginal bleeding. Her urine pregnancy test was positive two days ago. For ruling out ectopic pregnancy, the test that CANNOT be used is:
1. Pelvic examination
2. USG
3. HCG levels
4. Hysterosalpingography

Correct answer: 4. Hysterosalpingography

Explanation: Ectopic pregnancies are identified with the combined use of clinical findings along with, Transvaginal sonography Serum beta-hCG level--both the initial level and the pattern of subsequent rise or decline Serum progesterone level Uterine curettage Laparoscopy and occasionally, laparotomy The hysterosalpingography (HSG) has been considered the gold standard for imaging the uterine corpus for benign disorders (submucous myomas, submucous polyps, localization of tubal occlusion, and evaluation of mullerian fusion defects) and malignant disease (endometrial carcinoma). Ref: Cunningham F.G., Leveno K.J., Bloom S.L., Hauth J.C., Rouse D.J., Spong C.Y. (2010). Chapter 10. Ectopic Pregnancy. In F.G. Cunningham, K.J. Leveno, S.L. Bloom, J.C. Hauth, D.J. Rouse, C.Y. Spong (Eds), Williams Obstetrics, 23e.